Achalasia cardia due to:
1. Degeneration of myenteric plexus due to toxin
2. Degeneration and absence of ganglion cells in auerbach' Plexus
3. Excess of Ganglion cells in auerbach Plexus
4. Degeneration of meissner's Plexus

Correct answer: 2. Degeneration and absence of ganglion cells in auerbach' Plexus

Explanation: Ans. (b) Degeneration and absence of ganglion cells in auerbach plexusRef: Bailey and Love 26th edition, Page 1014* Achalasia cardia is due to loss of ganglion cells in myenteric plexus.* Histology shows loss of inhibitory neurons with a variable degree of chronic inflammation.Important point of difference from Hirschsprung disease:* Dilated segment of Achalasia shows such loss of ganglion cells, whereas dilated Colon in Hirschsprung disease shows normal ganglion cells in dilated part.